A child with pearly white papule on the forehead with central umbilication. Which of the following will most probably the causative organism for the lesion
1. Pox
2. Herpes
3. Coxsackie
4. HHV 6

Correct answer: 1. Pox

Explanation: Molluscum contagiosum is a disease caused by pox virus group most commonly by molluscum contagiosum virus type 1. It presents with shiny, pearly white hemispherical umbilicated papules which show a central pore commonly on face and neck. Pseudokoebner phenomenon seen. Ref Harrison 20th edition pg 1278